Third coronary artery is -
1. Right coronary artery
2. Left coronary artery
3. Conus artery
4. Anterior interventricular artery

Correct answer: 3. Conus artery

Explanation: Ans. is 'c' i.e.,Conus arteryThird coronary artery is seen only in 50% of human hearts. It is also called conus artery.The conus artery is a small early branch off the right coronary artery (RCA) circulation.